Markers of acute viral hepatitis caused by HBV
1. IgM anti HBc Ag
2. IgG anti HBc Ag
3. IgM anti Hbs Ag
4. IgG anti HBs Ag

Correct answer: 1. IgM anti HBc Ag

Explanation: In acute hepatitis following serological markers are present:

HBs Ag
Ig M anti HBc Ag (in recent infection) or IgG anti HBc Ag (in remote infection).
Hbe Ag (with high infectivity) or Anti Hbe Ag (with low infectivity).